Tophi in gout found in all regions except
1. Prepatellar bursae
2. Muscle
3. Helix of ear
4. Synovial membrane

Correct answer: 2. Muscle

Explanation: Ans. is 'b' i.e., Muscle Location of Tophi They are classically located along the helix of the ear. Can also be seen in :- Fingers Toes Prepattelar bursa Olecranon Although gout typically cuases joint inflammation, it can also cause inflammation in other synovial-based structures, such as bursae and tendons. Tophi are collections of urate crystals in the soft tissues. They tend to develop after about a decade in untreated patients who develop chronic gouty arthritis. Tophi may develop earlier in older women, particularly those receiving diuretics.